Velocity of blood flow in blood vessel is
1. Directly proportional to cross sectional area
2. Maximum is capillaries
3. Minimum in aorta
4. None of the above

Correct answer: 4. None of the above